Which of the following is true about nephrogenic diabetes insipidus
1. Renal tubule is unresponsive to ADH
2. There is central decrease in secretion of ADH
3. Serum sodium is low
4. Urine osmolality is increased after administration of ADH

Correct answer: 1. Renal tubule is unresponsive to ADH

Explanation: Answer is A (Renal tubule is unresponsive to ADH): Nephrogenic Diabetes Insipidus is charachterized by resistance of action of ADH on Renal tubules or unresponsiveness of renal tubules to the action of ADH or Renal Hyposensitivity to action of ADH. Serum sodium is typically high (increased), urine osmolality is low and fails to increase after exogenous administration of ADH /vasopression.